All are X-ray findings of RA except:
1. Reduced joint space
2. Soft tissue shadow
3. Periarticular new bone formation
4. Subchondral cyst

Correct answer: 3. Periarticular new bone formation

Explanation: Radiological features of RA are Evidence of soft tissue swelling and joint effusion Symmetrical involvement Juxta-articular osteopenia (within weeks) Loss of articular cartilage and bone erosions (after months) Narrowing of joint space Articular destruction and joint deformity, e.g. subluxation of atlantoaxial and cervical joints Lack of hypertrophic bone changes (sclerosis or osteophyte)